Ichthysis is caused by:
1. Hemosiderosis
2. Refsum disease
3. Niacin deficiency
4. Steven johnson syndrome

Correct answer: 2. Refsum disease

Explanation: B. i.e. Refsum's disease Icthyosis is seen in Hypothyroidism, AIDS, Refsum disease and LymphomaQ. (Mn-"HARLY i.e. name of motor cycle Harly Davidson).